Marijuana withdrawal syndrome is associated with
1. Irritability
2. Seizures
3. Increased sleep
4. Excessive appetite

Correct answer: 1. Irritability

Explanation: (A) Irritability# SYMPTOMS OF MARIJUANA WITHDRAWAL> Vary with an individual's level of dependency.> Mild form ofMarijuna dependence may experience minor physical and psychological discomfort, such as headaches or restlessness.> Severe forms of Marijuana addiction may endure more intense withdrawal symptoms, including sweating, fever, chills and hallucinations.# Physical Symptoms of Withdrawal: Stomach discomfort. Sweating. Tremor. Fever and chills. Headache.# Psychological Symptoms: Withdrawal for heavy marijuana users most often involves psychological symptoms that include Restlessness. Insomnia. Fatigue. Diminished appetite. Irritability. Anxiety, Depression.# Marijuana Withdrawal Timeline Day 1: Feelings such as irritability, anxiety & insomnia. Days 2-3: Typically the peak of withdrawal symptoms. Cravings can be strong, so relapse is most likely during this time & Sweating, chills and stomach pains have also been reported during this period. Days 4-14: Over the next several weeks, symptoms generally improve. However, depression can set in as brain chemistry changes and adapts to functioning without THC. Marijuana cravings may still be present as well. Days 15+: Most, if not all, symptoms should be gone by week three. Those with severe psychological addictions have reported feelings of depression and anxiety for up to several months after discontinuing marijuana use.# Treatment: Currently no medicines approved by the US Food and Drug Administration (FDA) to treat marijuana dependence.> There have been clinical trials of several drugs to find out if they can relieve withdrawal symptoms, including anti-anxiety drugs, antidepressants, sleep aids, anti-seizure drugs, mood stabilizers, and THC replacements.> Of these, the most promising results have come from the sleep aid Zolpidem, the anti-anxiety medication Buspirone, and the anti-convulsant drug Gabapentin.> These drugs relieve the insomnia and anxiety associated with marijuana withdrawal, and in the case of gabapentin, can also help to improve former users' ability to think clearly during withdrawal.> Three therapies that have been successful are: Contingency management This approach uses tangible rewards, like reward vouchers or prizes, to encourage healthy behavior, such as remaining abstinent from drugs. Motivational enhancement therapy. This behavioral treatment helps people in recovery to set concrete personal goals that they will be motivated to achieve. Counselors then help the individual to formulate a plan to meet those goals. Cognitive-behavioral therapy. This treatment uses counseling and education to help people in recovery to recognize dangerous behaviors and counteract them with healthier choices.